FIGLU excretion test is used for assessment of deficiency of ?
1. Vitamin B12
2. Niacin
3. Folic acid
4. Pyridoxin

Correct answer: 3. Folic acid

Explanation: Ans. is 'c' i.e., Folic acidAssessment of folate deficiencyFollowing tests arc used for assessment of folate deficiency.i) Blood level :- Normal level in serum is about 2-20 nanogram/ml and about 200 micorgram/ml of packed cells.ii) Histidine load test or FIGLU excretion test :- Histidine is normally metabolized to formimino glutamic acid (FIGLU) from which formimino group is removed by THF. Therefore in folate deficiency, FIGLU excretion is increased in urine.